Amount of dissolved oxygen transported in 100 ml of plasma in a subject breathing 100% oxygen at 4 ATA (Atmospheric pressure) will be:
1. 9 ml
2. 6 ml
3. 3 ml
4. 0.3 ml

Correct answer: 1. 9 ml

Explanation: A i.e. 9 ml